Which of the following statements are True /False? A. Listeria monocytogenes is a food borne pathogen B. Humans are probably accidental hosts for this microorganism C. Case-fatality rate of listeria meningitis is reported to be 15-26% D. Granulomatosis infantiseptica is an overwhelming listerial fetal infection with miliary micro abscesses and granulomas E. Adults should receive IV ampicillin at high doses (2grams every 4hours)
1. A,B,D True & C,E False
2. B,C,D,E True & A False
3. B,E True & A,C,D False
4. A,B,C,D & E True, None False

Correct answer: 4. A,B,C,D & E True, None False

Explanation: All of the statements are true. Ref: Harrisons Principles of Medicine, 18th Edition, Pages 1194-95